Among drugs of HAART, which of the following drug has a maximum tendency of peripheral neuropathy?
1. Lamivudine
2. Zidovudine
3. Stavudine
4. Nevirapine

Correct answer: 3. Stavudine

Explanation: Stavudine has maximum, while lamivudine has minimum peripheral neuropathy.Ref: Goodman Gillman 12th ed pg: 1635